Preformed antibodies cause:
1. Hyperacute rejection
2. Acute rejection
3. Chronic rejection
4. Acute humoral rejection

Correct answer: 1. Hyperacute rejection

Explanation: Ans. (a) Hyperacute rejection(Ref: R 9th/pg 231-234)Hyperacute rejection occurs when preformed antidonor antibodies are present in the circulation of the recipient even prior to transplantation.